Case finding tool which has been stopped as a general measure of case finding in Tuberculosis is:
1. Sputum microscopy
2. Sputum culture
3. Mass Miniature radiography
4. Tuberculin Testing

Correct answer: 3. Mass Miniature radiography

Explanation: Mass Miniature radiography